Lisch nodule seen in -
1. Sympathetic ophthalmitis
2. Neurofibromatosis
3. Chronic iridocyclitis
4. Trachoma

Correct answer: 2. Neurofibromatosis

Explanation: Bilateral Lisch nodules are seen in neurofibromatosis type 1. These are hamartomas that develop during second - third decades, seen as tiny nodular pigmented lesions protruding above the iris surface. Other uncommon iris lesions in type 1 NF include congenital ectropion uveae and mammillations. Ref: kanski's 8 th edition , page no. 840